How would a drug that competes with Ach for receptors at the motor end plate effect skeletal muscle? It would
1. Produce uncontrolled muscle spasma
2. Cause the muscles to contract and be unable to relax
3. Cause muscles to relax and be unable to contract
4. Make the muscles more excitable

Correct answer: 3. Cause muscles to relax and be unable to contract

Explanation: Dragcompetes with acetylcholine at the motor end plate causes muscle relaxation Ref: guyton and hall textbook of medical physiology 12 edition page number:65,66,67